Superficial incision on posterior triangle of neck leads the  -
1. Difficulty in shrugging of shoulder
2. Difficulty in start of abduction
3. Difficulty in rotation of face towards the same side
4. Difficulty in flexion

Correct answer: 1. Difficulty in shrugging of shoulder

Explanation: Damage to spinal accessory nerve causes drooping of the shoulder, difficulty in overhead abduction and difficulty in shrugging of the shoulder due to paralysis of the trapezius.